Renin is synthesized as a large preprohormone. It is secreted by:
1. PCT
2. DCT
3. Collecting duct
4. Juxtaglomerular apparatus

Correct answer: 4. Juxtaglomerular apparatus

Explanation: Active renin is formed in the secretory granules of the granular cells in the juxtaglomerular apparatus. Active renin has a half-life in the circulation of 80 min or less. Its only known function is to cleave the decapeptide angiotensin I from the amino terminal end of angiotensinogen (renin substrate). Ref: Barrett K.E., Barman S.M., Boitano S., Brooks H.L. (2012). Chapter 38. Regulation of Extracellular Fluid Composition & Volume. In K.E. Barrett, S.M. Barman, S. Boitano, H.L. Brooks (Eds), Ganong's Review of Medical Physiology, 24e.